American Heart Association standard pediatric dose of amoxicillin for antibiotic prophylaxis, in cases of endocarditis is
1. 20mg/kg
2. 50mg/kg
3. 100mg/kg
4. 125mg/kg

Correct answer: 2. 50mg/kg